True about prions is
1. They are encoded by viral genome
2. Associated with misfolding of proteins
3. Non-Infectious
4. Immunogenic

Correct answer: 2. Associated with misfolding of proteins